Hepatotoxic drugs are -
1. Chloroform
2. Ether (diethyl)
3. N2O
4. All

Correct answer: 1. Chloroform

Explanation: Ans. is 'a' i.e., Chloroform Hepatotoxic anaesthetic agents are 1. Chloroform 3. Carbon tetrachloride 5. Methoxyflurane 2. Halothane 4. Trichloroethylene